Constriction of pupils is seen in:
1. Only light reflex
2. Light reflex and accommodation reflex
3. Atropine medication
4. All of the above

Correct answer: 2. Light reflex and accommodation reflex

Explanation: Ans. B: light reflex and accommodation reflex Psychosensory stimulus-A dilatation of the pupil occurs on psychic and sensory stimuli Light reflex and near reflex results in contraction of the pupils. Significant or possible causes of constricted pupils include: Drugs such as Heroin, Fentanyl, Codeine, Tramadol and other narcotics Migraine Corneal ulcer Homer Syndrome (damage to the sympathetic nervous system serving the eyes) Pancoast tumor (carcinoma of the lung apex) Uveitis (inflammation of the inner eye) Medications Significant or possible causes of dilated pupils include: Adrenaline Drugs such as antipsychotic agents, atropine, cocaine Blood loss Seratonin Syndrome (a toxic reaction to serotonin) Significant or possible causes of unequal pupils include: Stroke Head injury Artificial eye Eye Injury Adie's Syndrome (light response slower in one eye possibly due to a mechanism malfunction) Third cranial nerve palsy Tumor Meningitis Encephalitis Significant or possible causes for lack of reactivity in pupils include: Drugs Lack of oxygen to the brain Brainstem coma Death